Smallest unit of antigenicity
1. Epitope
2. Paratope
3. Idiotype
4. Hapten

Correct answer: 1. Epitope

Explanation: Epitope of antigenic determinant is the smallest unit of antigenicity.